Which of the following is true about medulloblastomaa) Radiosensitive tumorb) Spreads through CSFc) Surgical Rx not doned) Occurs in young age groupe) It is a supratentorial tumor
1. acd
2. abd
3. abc
4. ab

Correct answer: 2. abd

Explanation: Medulloblastoma 

Its a primitive-neuroectodermal tumor (P-NET)
Age

-     primarily childhood tumor
-     its the most common primary brain tumor in children (Ref Sabiston 17/e, p 2145]

Location
infratentorial
most common site is yentas (75%) (most common site in adults is lateral cerebellar hemisphere)
Medulloblastomas tend to metastasize early, widely and massively throughout the CSF.
Treatment consists of surgical resection followed by radiation therapy.
Medulloblastoma is moderately radiosensitive.